The feature of petit mal epilepsy in EEG is ?
1. Spike and dome
2. Continuous stunted spikes
3. Waves at the rate of 10/sec.
4. Continuous tall spikes

Correct answer: 1. Spike and dome

Explanation: Ans. is 'a' i.e., Spike and dome o The EEG hallmark of typical absence seizure is a generalized symmetric 3 Hz spike and slow wave discharge.